The critical path (CPM) method in health planning and management is -
1. The shortest time taken to complete the project
2. The midpoint for review of the project
3. The longest path taken to complete the project
4. Concerned with queuing theory

Correct answer: 3. The longest path taken to complete the project

Explanation: - Critical path method : the longest path of the network. - if any activity along the critical path is delayed, the whole project will be delayed. Reference : Park's textbook of preventive and social medicine, 23rd edition, pg no:872